Regarding hemodynamic changes in pregnancy, all of the following are true except :-
1. Hemodynamic changes start taking place after 12 weeks of gestation
2. Venocaval compression begins at about 16 weeks of gestation
3. There is midtrimester fall in blood pressure
4. Systolic murmur may occur normally

Correct answer: 1. Hemodynamic changes start taking place after 12 weeks of gestation

Explanation: Cardiac Output : Starts increasing by as early as 5th week increases by 30% (6litres/Min) reaches to peak at 32nd -34th week antenatally Even higher during labour and its maximum immediate post partum Heart Sounds in Pregnancy: - Exaggerated splitting of the first heart sound and increased loudness of both components A loud easily heard third sound >95% develop systolic murmur which disappears after delivery. 20% have a transient diastolic murmur. >10% develop continuous murmur due to increase mammary blood flow. Systemic Pressure changes; Early or mid pregnancy fall in BP late pregnancy rise in BP Heart rate increases (10-20%). Stroke volume increases (10%). Mean arterial blood pressure decreases (10%). Peripheral resistance decreases (35%)